Which of the following is a Relaxation protein?
1. Actin
2. Myosin
3. Tropomyosin
4. Dystrophin

Correct answer: 3. Tropomyosin

Explanation: Tropomyosin molecules cover all the active site of actin molecule. It is located in the groove between the two chains of actin. (REF: TEXTBOOK OF MEDICAL PHYSIOLOGY GEETHA N 2 EDITION, PAGE NO - 40)